Lombard test is used in diagnosis of
1. Conductive hearing loss
2. Sensorineural hearing loss
3. Non-organic hearing loss
4. Mixed hearing loss

Correct answer: 3. Non-organic hearing loss

Explanation: Lombard's test depends on the fact that to the normal man the sound of his own voice is necessary to the proper regulation of its tone and intensity. The Barany noise apparatus is adjusted in the patient's sound ear,and its machinery started in order to accustom him to its grating noise. He is given a book, and told to read aloud in his natural voice,and not to stop reading when the instrument is set in action.As soon as the noise begins,a man whose opposite ear is profoundly deaf will at once raise his voice . The malingerers on the other hand,claiming a one-sided deafness which is not real,will continue to read in an even tone or in a tone only slightly elevated. In this way,Lombard's test is used in the diagnosis of Non -Organic hearing loss. ref:LOGAN TURNER'S textbook,8th edition,page no.400